A 65-year-old has suffered from essential tremor for many years. Her symptoms are exacerbated by stress and fatigue and some evenings she is unable to cook or make herself a cup of tea because of it. Which of the following is the most appropriate first-line treatment?
1. Pramipexole
2. Topiramate
3. Propranolol
4. Diazepam

Correct answer: 3. Propranolol

Explanation: Generally essential tremor requires no treatment but if the quality of life is affected then Propranolol should be given.